Dysphagia lusoria is due to:
1. Esophageal diverticulum
2. Aneurysm of aorta
3. Esophageal web
4. Compression by aberrant blood vessel

Correct answer: 4. Compression by aberrant blood vessel

Explanation: Ans. (d) Compression by aberrant blood vesselsRef: Sabiston 19th Edition, Pages 1036-1037* Abnormal origin of right subclavian artery from descending aorta causes dysphagia - known as dysphagia lusoria* The esophagus is compressed posteriorly in this scenario* This type of compression forms a complete ring* Only symptomatic cases need surgerySimilarly pulmonary artery can form Sling and cause dysphagia.* Pulmonary sling causes anterior compression* Pulmonary Sling means Left Pulmonary artery arises from Right PA instead of arising from trunk as shown in figure.* Pulmonary sling always need surgery